Pregnancy is better avoided in all of the following congenital heart diseases, EXCEPT:
1. Cyanotic heart disease
2. Pulmonary hypertension
3. Marfans syndrome with a dilated aortic root
4. Mitral stenosis

Correct answer: 4. Mitral stenosis

Explanation: The most common birth defects are cardiovascular in origin. It is multifactorial CHD complicates 1 % of all live births Women with aortic disease (e.g., aortic coarctation or Marfan's syndrome) are at risk of aortic dissection. Avoid pregnancy in patients with Cyanotic heart disease, Pulmonary hypertension Marfan's syndrome with a dilated aortic root Ref: Harrison, Edition-18, Page-1342.